In a 60 year old adult, which of the following diseases cause expansile maxillary lesions?
1. Paget's disease
2. Acromegaly
3. Fibrous Dysplasia
4. Rickets

Correct answer: 1. Paget's disease